An HIV patient complains of visual disturbances. Fundal examination shows bilateral retinal exudates and perivascular hemorrhages. Which of the following viruses are most likely to be responsible for this retinitis?
1. Herpes simplex
2. Varicella zoster
3. Cytomegalovirus
4. EBV

Correct answer: 3. Cytomegalovirus

Explanation: Ans. is 'c' i.e., Cytomegalovirus (Ref: Harrison, 18th/e, p. 1563; 17th/e, p. 1185)* Perivascular hemorrhage and exudate are characteristic of CMV retinitis.* CMV infection - Other organ infection excluding liver, spleen and lymph nodes.* Other viral opportunistic infections - Chronic HSV infection, Progressive multifocal leukoencephalopathy, varicella-zoster virus, adenovirus, polyomavirus JC virus, hepatitis B virus, hepatitis C virus.